The features of neonatal hyperthyroidism include all except -
1. Triangular facies with craniosynostosis
2. Congestive cardiac failure
3. Advanced osseous maturation
4. Goiter is rare

Correct answer: 4. Goiter is rare

Explanation: Ans. is 'd' i.e., Goiter is rare Goiter is almost always present in congenitally hyperthyroid infants" Fetal and neonatal hyperthyroidism o Fetal and neonatal hyperthyroidism are usually produced by transplacental passage of thyroid - stimulating immunoglobulins. o Most commonly, the thyroid stimulating immunoglobulins are a component of active maternal grave's disease.